Second common malignancy in patients of retinoblastoma is?
1. Osteosarcoma
2. Ewing s sarcoma
3. Medulloblastoma
4. Osteoblastoma

Correct answer: 1. Osteosarcoma

Explanation: ANSWER: (A) OsteosarcomaREF: Khurana 4th ed p. 281Heritable germ line cases of retinoblastoma develop bilateral tumours and multifocal tumours, and carry a predisposition to develop trilateral tumours most notably pinealoblastomas and osteosarcomas.Retinoblastoma is most common primary intraocular malignanacy of childhood.It is characterized by Flexner winterstiener rosette , homer - wright rosetteLeucocoria or cat's reflex is most common manifestation.Strabismus is second most common manifestation.Predisposing gene is 13ql4